Both intramembranous and endochondral type of ossification occurs in all except:
1. Parietal bone
2. Occipital bone
3. Temporal bone
4. Sphenoid bone

Correct answer: 1. Parietal bone

Explanation: Both intramembranous and endochondrial ossification is seen in – occipital, temporal, sphenoid bones.